True about Boyle's apparatus – a) Continuous flow machineb) Liquid anesthetic vapours not usedc) Resistance very highd) Resistance low
1. b
2. c
3. ad
4. ab

Correct answer: 3. ad

Explanation: Boyle's machine operates on the continuous flow principle, where gas flows all the time during inspiration and expiration.
Vaporizer contain a volatile inhalation anesthetic agent in liquid form which is vaporized before being mixed with gaseous mixture.
Resistance to intermittent gas flow should be very low.